Best method to evaluate bone defect is
1. Sounding
2. IOPA
3. Bitewing radiograph
4. Use of florid probes

Correct answer: 1. Sounding

Explanation: Transgingival probing is known as sounding.